Which of the following does not represent a fascial space for the spread of infection?
1. Superficial temporal space
2. Pterygomandibular space
3. Masseteric space
4. Rhinosoteric space

Correct answer: 4. Rhinosoteric space

Explanation: The superficial temporal, pterygomandibular, masseteric, and submental spaces are potentially involved in the odontogenic infection. There is no rhinosoteric space.